Normal capacity of the renal pelvis is
1. 7 ml
2. 10 ml
3. 15 ml
4. 20 ml

Correct answer: 1. 7 ml

Explanation: • The average capacity of the renal pelvis is 4–8 ml.